Contraindication of topical beta blockers
1. Hypertension
2. Asthma
3. Tachycardia
4. Hypotension

Correct answer: 2. Asthma

Explanation: B i.e. Asthma